O2 delivery to tissues depends on all, except
1. Cardiac output
2. Type of fluid administered
3. Hemoglobin concentration
4. Affinity of hemoglobin for O2

Correct answer: 2. Type of fluid administered

Explanation: The oxygen dissociation curve can be shifted right or left by a variety of factors. A right shift indicates decreased oxygen affinity of haemoglobin allowing more oxygen to be available to the tissues. A left shift indicates increased oxygen affinity of haemoglobin allowing less oxygen to be available to the tissues Ref: guyton and hall textbook of medical physiology 12 edition page number:354,355,356